All the following diseases are associated with HILA B-27 & Uveitis, except -
1. Bechcet's syndrome
2. Psoriasis
3. Ankylosing Spondylitis
4. Reiter's syndrome

Correct answer: 1. Bechcet's syndrome

Explanation: Features of seronegative spondyloarthropathies

Onset usually before 40 years
The absence of RA factor
HLA - B27 positive
Presence of uveitis
Examples Ankylosing spondylitis, Reitter’s syndrome, Psoriatic arthritis, Enteropathic arthritis, Reactive arthritis.